Most common tumour occurring in appendix includes
1. Carcinoid tumour
2. Melanoma
3. Adeno carcinoma
4. Mucinous

Correct answer: 1. Carcinoid tumour

Explanation: Carcinoid tumours arise in argentaffin tissue (Kulchitsky cells of the crypts of Lieberkuhn) and are most common in the vermiform appendix.The tumour can occur in any part of the appendix, but it is frequently found in the distal third Ref: Bailey & Love's Short Practice of Surgery,E25,Page-1217